Mogamulizumab was approved by FDA recently for
1. Prostate cancer
2. Breast cancer
3. Hodgkins lymphoma
4. Non-Hodgkins lymphoma

Correct answer: 4. Non-Hodgkins lymphoma

Explanation: Recently approved for non hodgkins lymphoma.